The method in which the sample is taken from each predefined strata of society is called?
1. Simple random sampling
2. Systemic sampling
3. Stratified sampling
4. Multistaged sampling

Correct answer: 3. Stratified sampling

Explanation: In simple random sampling the samples are taken completely at random from a given population. In systemic sampling samples are taken according to a predetermined periodicity. In multistaged sampling, the researcher randomly selects elements from each cluster instead of using all the elements contained in the selected clusters.